Gasless abdomen is a feature of –
1. High obstruction
2. Acute pancreatitis
3. Congenital diaphragmatic hernia
4. All

Correct answer: 4. All

Explanation: High obstruction, acute pancreatitis and congenital diaphragmatic hernia can cause gasless abdomen.